35 week multigravida presenting with epigastric pain, headache, visual symptoms, proteinuria 3+. What is the first step/next of management?
1. Immediate caesarean
2. Betamethasone for fetal lung maturity
3. Induction of labour for vaginal delivery
4. Start MgSO4 therapy

Correct answer: 4. Start MgSO4 therapy

Explanation: Severe hypertension / preeclamptic toxemia (imminent eclampsia) is- - Hypertension with :- Headache Visual symptoms Epigastric pain Proteinuria > 300 mg/ 24 hr. urine Protein: creatine ratio >= 0.3 1st step of RX :- MgSo4 - IM + IV (Pritchard's regimen) This is followed by termination of pregnancy (Definitive treatment)